Nummular keratitis is a feature of:
1. Fungal keratitis
2. Herpes zoster keratits
3. Bacterial keratitis
4. Acanthamoeba keratitis

Correct answer: 2. Herpes zoster keratits

Explanation: Ans. B i.e. Herpes zoster keratitis